The following symptoms of schizophrenia responds quickly to treatment with medication
1. Apathy
2. Auditory Hallucinations
3. Poverty of thought content
4. Anhedonia

Correct answer: 2. Auditory Hallucinations

Explanation: B i.e Auditory Hallucinations